Which of the following is not an indication for liver transplantation?
1. Fatty liver
2. HIV
3. Wilson's disease
4. Primary hyperoxaluria

Correct answer: 2. HIV

Explanation: HIV is not an indication for liver transplantation. INDICATIONS FOR LIVER TRANSPLANTATION MC indication of LT: HCV induced cirrhosisQ 2nd MC indication of LT:Alcoholic liver diseaseQ MC indication of pediatric LT: Biliary atresiaQ MC metabolic disorder requiring LT: Alpha-1 antitrypsin deficiencyQ MC indication for LT following acute liver failure: Acetaminophen toxicityQ